Arch of aorta develops from:
1. Right 4th aortic arch
2. Left 4th aortic arch
3. Right 6th aortic arch
4. Left 6th aortic arch

Correct answer: 2. Left 4th aortic arch

Explanation: Ans. B. Left 4th aortic archThe aortic arch is the connection between the ascending and descending aorta, and its central part is formed by the left 4th aortic arch during early development